Toxoplasmosis in the foetus can be best confirmed
1. IgM antibodies against Toxoplasma in the mother
2. IgM antibodies against Toxoplasma in the foetus
3. IgG antibodies against Toxoplasma in the mother
4. IgG antibodies against Toxoplasma in in the foetus

Correct answer: 2. IgM antibodies against Toxoplasma in the foetus